All of the following about Turner syndrome are true, except:
1. Amenorrhea
2. Intellectual disability
3. Short stature
4. Coarctation of aorta

Correct answer: 2. Intellectual disability

Explanation: Ans. Intellectual disability